Gastrointestinal stromal tumours arise form
1. Paneth cells
2. Stave cells
3. Enterocytes
4. Interstitial cells of Cajal

Correct answer: 4. Interstitial cells of Cajal

Explanation: Gastrointestinal stromal tumours (GISTs) may arise in anypa of the gastrointestinal tract but 50% will be found inthe stomach.They are now known to be a distinct tumor derived from the interstitial cells of Cajal,The tumours are universally associated with a mutation in thetyrosine kinase c-kit oncogene (CD 117). These tumours are sensitive to the tyrosine kinase antagonist imatinibBailey and Love 27e pg: 1139